Which of the following is a new slow type palatal expander?
1. NiTi expander
2. Hyrax expander
3. Quad helix
4. Molar rotator

Correct answer: 1. NiTi expander